Lack of insight is not a feature of-
1. Panic disorder
2. Schizophrenia
3. Mania
4. Reactive psychosis

Correct answer: 1. Panic disorder

Explanation: Panic disorder (Anxiety disorder) is a neurosis in which the insight is preserved.